Troponin-C mimics which of the following?
1. Calmodulin
2. Calcineurin
3. Calretinin
4. Ceruloplasmin

Correct answer: 1. Calmodulin

Explanation: Troponin C contains binding site for Ca2+ that initiates muscle contraction.(Ref: Textbook of physiology AK Jain 5th edition page no.164)